Decreased Radio iodine uptake is I are seen in
1. Toxic multinodular goiter
2. Grave's disease
3. Subacute thyroiditis
4. All

Correct answer: 3. Subacute thyroiditis

Explanation: Answer is C (Subacute thyroiditis) Mayo Clinic Internal Medicine Concise Textbook (2007)/181: Harrison 18th/p 2917 Subacute Thyroiditis and Facititious thyroiditis are associated with decreased radioiodine uptake.